All of the following are indicators of ovulation except:
1. Increase in cervical mucus
2. Abdominal cramps
3. LH surge
4. Fall in body temperature

Correct answer: 4. Fall in body temperature

Explanation: Ans. D: Fall in body temperature Frequent physical signs indicating ovulation are: Increased body temperature LH surge Increased cervical mucus -cervical mucus is most abundant and becomes clear and slippery and stretches like egg white Change of position and firmness of cervix Abdominal cramps (Mittelschmerz) Increased libido Tender breasts